Amphixenosis is
1. T. cruzi
2. Entrobius - vermicularis
3. Anthrax
4. Ascaris lumbricoidis

Correct answer: 1. T. cruzi